Nesiritide cause vasodilatation through ?
1. cAMP
2. cGMP
3. ATP
4. K' ions

Correct answer: 2. cGMP

Explanation: Ans. is 'b' i.e., cGMP Nesiritide Nesiritide is a recombinant form of human BNP (Brain natriuretic peptide) that dilates the arterial and venous circulation in a balanced manner. It is only available for parentral administration (oral bioavilability is poor) It has natriuretic, diuretic and vasodilator properties. It does not have inotropic action. It has been approved for use in acute cardiac failure. Its V/2 is only 18 minutes. It acts by increasing cGMP in smooth muscle cells. The main side effect is hypotension. The limiting factor is its breakdown by enzyme, neutral endopeptidase (NEP) - inhibitors of this enzyme ecadotril are being tested for CHF.